In glomerular disease which of the following is mainly excreted in Urine -
1. Albumin
2. Globulin
3. Light chain
4. Heavy chain

Correct answer: 1. Albumin

Explanation: Ans. is 'a' i.e., Albumino Normally the glomerular filtration layer does not allow any plasma protein to pass through it. But when some renal pathology occurs it allows protein molecules to pass through it, and albumin is the first protein to appear in the urine. So proteinuria is also sometimes called Albuminuria.